Circumcision is done in a child in which of the following conditions -
1. Phimosis
2. Recurrent balanitis
3. Paraphimosis
4. All of the above

Correct answer: 4. All of the above